Angiogenesis is
1. Formation of the new blood vessels
2. Repair by connective tissues
3. Formation of the blood clot
4. All of the above

Correct answer: 1. Formation of the new blood vessels

Explanation: (Formation of the new blood vessels) (71-72-R) (70-72- Basic pathology 8th)ANGIOGENESIS or neovascularization by which preexisting vessels send out capillary sprouts to produce new vessels.Angiotensis is a critical process in the healing at sites of injury in the development of collateral circulations at sites of ischemia, and in allowing tumours to increase in size beyond the constraints of their original blood supply.* Steps in the process of angiogenesis1. Basement membrane and extracellular matrix degradation2. Endothelial migration3. Endothelial proliferation (mitosis)4. Organisation and maturation including the recruitment of vascular pericytes or smooth muscle cells5. Increased permeability due to intercellular gaps and increased transcytosis.Thrombosis - Formation of the blood clot (thrombus)Fibrosis - Repair by connective tissues